Increased ICT is associated with all except -
1. Paraparesis
2. Abducent paralysis
3. Headache
4. Visual blurring

Correct answer: 1. Paraparesis